Low dose dopamine (1-2 mcg/kg) result in
1. Constriction of renal vasculature
2. Dilatation of renal vasculature
3. Increase in cardiac output
4. CNS stimulation

Correct answer: 2. Dilatation of renal vasculature

Explanation: At low concentrations, the primary interaction of dopamine is with vascular D1 receptors, especially in the renal, mesenteric, and coronary beds-leads to vasodilation Higher concentrations, dopamine exerts a positive inotropic effect on the myocardium, acting on beta-1 adrenergic receptors. At more than 10 mcg/kg/min rate of infusion, dopamine can stimulate alpha 1 receptors leading to peripheral vasoconstriction Dopamine also causes the release of norepinephrine from nerve terminals, which contributes to its effects on the heart. DOSE DEPENDENT EFFECTS OF DOPAMINE Dose Rate Receptors stimulated Major action Low dose 1-2 mcg/kg/min D1 Renal vasodilation Intermediate dose 2-10 mcg/kg/min D1 & Beta 1 Cardiac stimulation High dose > 10 mcg/kg/min D1, Beta 1 and Alpha 1 Vasoconstriction